All of the following are side effects of ropinirole except -
1. Sedation
2. Nausea
3. Retroperitoneal fibrosis
4. Hallucination

Correct answer: 3. Retroperitoneal fibrosis

Explanation: Ans. is 'c' i.e., Retroperitoneal fibrosis o Ropinirole can cause nausea, sedation, hallucinations, constipation and orthostatic hypotension.